Special visceral efferent doesn’t involve
1. Nucleus ambiguous
2. Motor nucleus of fifth cranial nerve
3. Dorsal nucleus of tenth cranial nerve
4. Motor nucleus of seventh cranial nerve

Correct answer: 3. Dorsal nucleus of tenth cranial nerve

Explanation: Ref. Gray’s anatomy.  41st edition. Page.  982
All of the spinal nerves contain both sensory and motor functions and can be organized on the basis of the functional components of each nerve.

General Somatic Afferent (GSA) fibers are related to receptors for pain temperture and mechanical receptors in the skin, muscles and joints
General Visceral Afferent (GVA) fibers are related to receptors in visceral structures
General Visceral Efferent (GVE) fibers are preganglionic autonomic fibers
General Somatic Efferent (GSE) fibers innervate skeletal muscle (these are axons of alpha and gamma motor neurons)